A 40-year-old women presented with a CT scan of the head showing an enlarged sella tursica. Neurological and endocrine work up in detail were found to be normal. The most likely diagnosis is -
1. Prolactinoma
2. Chromophobe adenoma
3. Craniophobe
4. Empty sella syndrome

Correct answer: 4. Empty sella syndrome